Which of the following babies has the least risk of developing hypoglycaemia?
1. A baby born to mother treated with beta blockers
2. Infant of diabetic mothers
3. Appropriate for gestational age babies
4. IUGR babies

Correct answer: 3. Appropriate for gestational age babies

Explanation: Ans. c. Appropriate for gestational age babies (Ref: Indian J Pediatr (2010) 77; 1137-1142)Appropriate for gestational babies have the least risk of developing hypoglycemia.Hypoglycemia in NewbornsHypoglycemia: Blood sugar level < 40 mg/dLIncidence: 1-3/1000 live birthsIncidence is increased several fold in certain high risk neonatal groupsThe premature and small for gestational age infants are vulnerable to the development of hypoglycemiaHigh Risk Situations where Screening is RecommendedLow birth weight infants (Weight < 2000 gms)QPreterm infants (< 35 weeks)QSmall for gestational age (SGA) infantsQ: Birth weight < 10th percentileInfant of diabetic mothers (IDM)Q: Insulin dependent and gestational diabetesLarge for gestational age (LGA) infantsQ: Birth weight > 90th percentileInfants with Rh-hemolytic diseaseQInfants bom to mothers receiving therapy with Terbutaline/propranololQ/LabetoIol/oral hypoglycemic agentsInfants with morphological IUGRAny sick neonateInfants on TPNTreatment:Start oral feedsReassess after half an hourIV 10% dextrose for symptomatic babies or asymptomatic babies with blood sugar < 20 gm/dL or failure of oral feeds in asymptomatic babies